Which is not an assisted reproduction technique:
1. GIFT
2. ZIFT
3. IVF and ET
4. Artificial insemination

Correct answer: 4. Artificial insemination

Explanation: Assisted reproductive technology (ART) is the technology used to achieve pregnancy in procedures such as fertility medication, in vitro fertilization and surrogacy.
It is reproductive technology used primarily for infertility treatments and is also known as a fertility treatment.
It mainly belongs to the field of reproductive endocrinology and infertility, and may also include intracytoplasmic sperm injection (ICSI) and cryopreservation.
Some forms of ART are also used with regard to fertile couples for genetic reasons (preimplantation genetic diagnosis).
ART is also used for couples who are discordant for certain communicable diseases; for example, HIV to reduce the risk of infection when a pregnancy is desired.